Drug distribution is inversely proportional to
1. Plasma protein binding
2. Lipid Solubility
3. fat layer in the body
4. structure of drug

Correct answer: 1. Plasma protein binding

Explanation: The extent of distribution of a drug depends on its lipid solubility, ionization at physiological pH, the extent of binding to plasma and tissue proteins, differences in regional blood flow. If PPB is high VD is low, PPB is inversly proportional to vd drugs with low vd usually have high ppb ref; KD Tripathi pharmacology 6th edition (page no;18)